Sleep spindles and K complexes occur in which phase of the sleep cycle?
1. REM
2. Stage I
3. Stage II
4. Stage III

Correct answer: 3. Stage II

Explanation: Stage II- Low voltage, mixed frequency background with sleep spindles (12-14 cps bursts) and K complexes (negative sharp wave followed by positive slow wave)